Recurrent chalazion is predisposed to develop -
1. Squamous cell carcinoma
2. Basal cell carcinoma
3. Adenocarcinoma
4. Epidermoid carcinoma

Correct answer: 3. Adenocarcinoma